Site of placement of tension free vaginal tapes in stress urinary incontinence
1. Ureterovaginal junction
2. Urethrovaginal junction
3. Upper part of urethra
4. Middle part of urethra

Correct answer: 4. Middle part of urethra

Explanation: Tension-free vaginal tape A knitted 11 mm x 40 cm polypropylene mesh tape is inserted transvaginally at the level of the midurethra Complications: Short term Voiding difficulties , Bladder perforation, de novo Urgency and Bleeding Ref: SHAW'S TEXTBOOK OF GYNAECOLOGY; 15th edition; Pg no:194